A 30–year old male presents with severe chest pain, breathlessness, hypotension and ECG shows ST elevation in V3, V4, V5 and. V6 leads. He will be best treated with:
1. Streptokinase
2. t–PA
3. Heparin
4. PTCA

Correct answer: 4. PTCA